Which of the following condition is NOT caused by Parvovirus B19?
1. Roseola infantum
2. Aplastic anemia in sickle cell disease
3. Fetal hydrops
4. Erythema infectiosum

Correct answer: 1. Roseola infantum

Explanation: Primary infection by parvovirus B19 often produces an acute, severe, and sometimes fatal anemia manifested as a rapid fall in red blood cell count and hemoglobin. These patients may present initially with no clinical symptoms other than fever; this is commonly referred to as aplastic crisis. Erythema infectiosum (also referred to as fifth disease or academy rash) is a more common disease that is clearly attributable to parvovirus B19. Active transplacental transmission of parvovirus B19 can occur during primary infections in the first 20 weeks of pregnancy, sometimes resulting in stillbirth of fetuses that are profoundly anemic. The progress can be so severe that hypoxic damage to the heart, liver, and other tissues leads to extensive edema (hydrops fetalis). Reference: GHAI Essential pediatrics, 8th edition